Trypsin cleaves carboxy terminal of :
1. Glutamate
2. Arginine
3. Glycine
4. Proline

Correct answer: 2. Arginine

Explanation: Trypsin cleaves carboxy terminal of Basic amino acids (Arginine, Lysine). EXTRA READING ON THIS TOPIC Serine proteases: * Proteolytic enzymes with serine at their active site. * Amino acid triad in the active site of serine proteases - Serine, Histidine, Aspartate. Examples of serine proteases: Chymotrypsin, Trypsin, Elastase, Thrombin, Plasmin, Complements, Factors X and XI Serine Proteases differ in substrate specificity Chymotrypsin: Cleaves at Carboxy terminal of bulky Hydrophobic amino acids (Tryptophan, Tyrosine, Phenylalanine) Elastase: Cleaves at Carboxy terminal of small Neutral amino acids e.g. Glycine, Alanine